Hantavirus is an emerging pathogen that is best described by which of the following statements?
1. Influenza-like symptoms are followed rapidly by acute respiratory failure
2. Hemolysis is common in infected patients
3. It is acquired by inhalation of aerosols of the urine and feces of deer
4. Transmission from human to human is common

Correct answer: 1. Influenza-like symptoms are followed rapidly by acute respiratory failure

Explanation: One of the major emerging diseases. This disease is caused by a Hantavirus endemic in deer mice. It is not transmitted from person to person. The mortality rate is 60%. Ribavirin has been used but is not effective. A vaccine is not available.